What are the minimum number bacilli for Sputum positive Tuberculosis?
1. 10
2. 102
3. 103
4. 104

Correct answer: 4. 104

Explanation: Answer: D. 104. (Ref Park's Textbook of PSM 22nd/Pg.l71)Sputum smear microscopy for tubercle bacilli is positive when there are at least 10,000 organisms present per ml of sputum.For slide reporting :No. of BacilliResult reportedNo AFB/100 oil immersion fields01-9 AFB/100 oil immersion fieldsScanty ( or Number AFB seen)10-99 AFB/100 oil immersion fields+ 0+)1-10 AFB/oil immersion fields++ (2+)>10 AFB/oil immersion fields+++ (3+)